Glyceryl trinitrate is given by sublingual because of
1. Short t1/2 in plasma
2. High hepatic first pass metabolism
3. High bioavailability by oral route
4. Extensive protein binding

Correct answer: 2. High hepatic first pass metabolism

Explanation: Refer kDT 6/e p 7 Main advantage of Sublingual route of drug administration is that liver is bypassed and drugs with high first pass metabolism are absorbed directly into systemic circulation